Characteristic finding in CT scan of patient with tubercular meningitis is:
1. Exudates seen in basal cistern
2. Hydrocephalus is not seen
3. Ventriculitis
4. Calcification in cerebellum

Correct answer: 1. Exudates seen in basal cistern

Explanation: Ans. Exudates seen in basal cistern